Parenteral nutrition causes all the complications EXCEPT
1. Diarrhea
2. Hepatic steatosis
3. Hyperglycemia
4. Electrolyte imbalance

Correct answer: 1. Diarrhea

Explanation: Ans) a (Diarrhea) Ref: Sabiston's textbook of surgery 18th edition Metabolic complications of Parenteral Nutrition Early complications Late complications Volume overload Hyperglycemia Refeeding syndrome Hypokalemia Hypophosphatemia Hypomagnesemia Hyperchloremic acidosis Essential fatty acid deficiency Trace mineral deficiency Vitamin deficiency Metabolic bone disease Hepatic steatosis Hepatic cholestasis